FALSE with respect to Progestasert is
1. It releases 65 mcg of progesterone per day
2. Effective life is 1 year
3. It is a subdermal implant
4. It reduces menstrual blood loss

Correct answer: 3. It is a subdermal implant

Explanation: Progesterone IUD (Progestasert) The vertical shaft is fitted with a capsule containing 38 mg of progesterone dispensed in silicone oil. It delivers progesterone to the uterus at the rate of 65 micrograms/day. Though a few sources claim the effectiveness to be of 2 years, the US Food and Drug Administration (USFDA)-approved effective life is only 1 year. The contraceptive effectiveness of the progestasert is similar to that of Cu IUDs; it reduces menstrual loss but has to be replaced every year and possibly increases the risk of ectopic pregnancy (as it decreases tubal motility).